Which of the following statement is not true about Coxa Plana:
1. Occur more commonly in females
2. Commonly affect children in first decade
3. Abduction in flexion is restricted
4. Lateral subluxation of femoral head on x-rays

Correct answer: 1. Occur more commonly in females

Explanation: Ans. A. Occurs more commonly in females.* Coxa plana is pert he's disease. It is osteonecrosis of the proximal femoral epiphysis in a growing child caused by poorly understood factors. It affects male > females during first decade of life.* Most common symptom is limp. During early phase, joint is irritable so extremes of all the movements are restricted and painful.* Later, most movements are full but abduction, especially in flexion is almost always limited. When hip is flexed, it goes into ER.